In malignant hyperthermia, excess heat production is due to:
1. Increased muscle metabolism by excess of calcium ions
2. Thermic effect of food
3. Increased sympathetic discharge
4. Mitochondrial thermogenesis

Correct answer: 1. Increased muscle metabolism by excess of calcium ions

Explanation: Malignant hyperthermia is an autosomal-dominant disease in which the defect is in RyR1 gene. When such individuals are administered inhalation anaesthetics (halothane or ether) or muscle relaxant succinylcholine , there is excess release of Ca++ in the sarcoplasm. This increases muscle metabolism.